Influenza virus belongs to family -
1. Picomaviridae
2. Calciviridae
3. Orthomyxoviridae
4. Paramyxoviridae

Correct answer: 3. Orthomyxoviridae

Explanation: Ans. is 'c* i.e., Orthomyxoviridae RNA VirusesPicornaviridae:Poliovirus, Coxsackievirus, Eehovirus, Enterovirus, Rhinovirus, Hepatitis A virusCalicivtridae: Norwalk virus. Hepatitis E virusTogaviridae: Rubella virus, Eastern equine encephalitis virus, Western equine encephalitis virusFlaviviridae: Yellow fever virus, Dengue virus, St. Louis encephalitis virus. West nile virus. Hepatitis C virus. Hepatitis G virusCoronaviridae: Coronavi rusesRhabdoviridae: Rabies virus. Vesicular stomatitis virusFiloviridae :: Marburg virus, Ebola virusParamyxoviridae: Parainfluenza virus, Respiratory syncytial virus, Newcastle disease virus , Mumps virus. Rubeola (measles) vimsOrthomyxoviridae: Influenza vims